True regarding anthrax is all except -
1. Caused by insect bite
2. Caused by rubbing of skin
3. Cutaneous type is rare now a days
4. Pulmonary infection occurs by inhalation

Correct answer: 3. Cutaneous type is rare now a days